Food poisoning has occurred due to ingestion of contaminated fired rice, most likely organism
1. Staphylococcus aureus
2. Bacillus cereus
3. Vibrio parahemolyticus
4. Yersinia pestis

Correct answer: 2. Bacillus cereus

Explanation: Bacillus cereus: an important cause of food poisoning. Two patterns: diarrheal and emetic. Emetic: associated with consumption of cooked rice, usually fried rice from restaurants. Nausea and vomiting 1-5 hours after the meal. Bacilli present in large numbers in cooked rice and fecal samples from these patients. Diarrheal: associated with a wide range of foods including cooked meat and vegetables. It is characterized by diarrhea and abdominal pain, 8-16 hrs after ingestion of contaminated food. Reference: Textbook of Microbiology; Anathanarayan and paniker's; 10th edition; Page no: 253